All of the following are true regarding Down's Syndrome EXCEPT;
1. Only found in female
2. Simian crease
3. Growth retardation
4. Epicanthus with oblique palpebral fissure

Correct answer: 1. Only found in female

Explanation: Down's syndrome (Trisomy 21): Intellectual disability Epicanthic folds and flat facial profile Simian's crease Umblical hernia Hypotonia Gap between first and second toe Congenital heart defects